Boutonneuse fever is caused by-
1. Rickettsia japonica
2. Rickettsia conorii
3. Rickettsia sibirica
4. Rickettsia australis

Correct answer: 2. Rickettsia conorii

Explanation: Boutonneuse fever (also called, fievre boutonneuse, Kenya tick typhus, Indian tick typhus, Marseilles fever, African tick-bite fever, or Astrakhan fever) is a fever as a result of a Rickettsial infection caused by the bacterium Rickettsia conorii Transmitted by the dog tick - Rhipicephalus sanguineus.